What is the recommended drug for treatment of leptospirosis?
1. Penicillin
2. Tetracycline
3. Azithromycin
4. Erythromycin

Correct answer: 1. Penicillin

Explanation: Penicillin is the drug of choice for treatment of leptospirosis. Tetracycline or doxycycline may also be used. Ref: Park 21st edition, page 267.